Which organism infection is virulent and may cause corneal ulcer perforation within 48hrs?
1. Pseudomonas
2. Aspergillus
3. Herpes simplex
4. Staphylococci

Correct answer: 1. Pseudomonas

Explanation: Ans. (a) PseudomonasRef: Khurana 6/e, p. 102* "Pseudomonas ulcers are usually associated with hypopyon, spread very rapidly & may even perforate within 48 - 72 hrs.* Pseudomonas is the most common gram negative organism causing corneal ulcer.